Which is not a cause of positive trendelenburg sign?
1. Paralysis of gluteus maximus
2. Congenital dislocation of hip
3. Un-united fracture of neck
4. Coxa vara

Correct answer: 1. Paralysis of gluteus maximus

Explanation: Ans A Paralysis of gluteus maximusRef: Maheswari Orthopaedics, 5th ed. pg. 135* When a person stands on one leg, the tendency of unsupported side to sag down is counteracted by gluteus medius and minimus. These two muscles form the abductor mechanism of hip.* In case the abductor mechanism is defective, unsupported side of the pelvis drops and is called Positive Trendelenburg sign. It is seen in:# Paralysis of gluteus medius and minimus# Congenital dislocation of Hip# Ununited fracture# Coxa vara